Test done at sub Subcentre during pregnancy:
1. USG
2. Haemoglobin
3. OGTT
4. Triple test

Correct answer: 2. Haemoglobin

Explanation: Tests done at Sub center: Pregnancy detection test Hemoglobin level estimation Urine test for albumin and sugar Rapid malaria test Tests done at PHC/CHC/DH: Blood grouping with Rh HIV testing VDRL, RPR Rapid Malaria test Blood Sugar HBSAg.